Contraceptive Efficacy is measured by:-
1. Pearl index only
2. Pearl index and Life table analysis
3. Life table analysis and Couple protection rate
4. Pearl index and Couple protection rate

Correct answer: 2. Pearl index and Life table analysis

Explanation: Contraceptive efficacy: Is assessed by measuring the number of unplanned pregnancies that occur during a specified period of exposure and use of a contraceptive method. Two methods used are: - Pearl index - Life table analysis Life table analysis as measure of contraceptive efficacy is a better measure than Pearl Index